Which of the following statement regarding first order kinetics is true?
1. It is independent of plasma concentration
2. Tl/2 of the drug increases with dose
3. Clearance of the drug decreases with dose
4. A constant proportion of plasma concentration is eliminated

Correct answer: 4. A constant proportion of plasma concentration is eliminated

Explanation: According to first order kinetics of elimination the rate of elimination of a drug is directly propotional to the drug concentration. Clearence of the drug remains constant and a constant fraction of drug is eliminated in unit time. Ref: Essentials of Medical Pharmacology By KD Tripathi, 5th Edition, Page 27-8